Out of 11 births in a hospital, 5 babies weighed over 2.5 kg and 5 weighed less than 2.5 kg. What value do 2.5 represent?
1. Geometric average
2. Arithmetic average
3. Median
4. Mode

Correct answer: 3. Median

Explanation: MEASURES OF CENTRAL TENDENCY
• Mean (Average): Is obtained as the sum of all values divided by the no. of values.
• Median: Middlemost value in a distribution arranged in an ascending or descending order of values.
• Mode: Most frequent or most commonly occurring value in a distribution.